Pyoderma gangrenosum is seen in – a) Crohms diseaseb) Divertuculosisc) Ulcerative colitisd) Ca. colon
1. a
2. ac
3. ad
4. b

Correct answer: 2. ac

Explanation: Pyoderma gangrenosum is characterized by rapidly spreading ulcer with erythematous, infiltrated border on thighs and abdomen. It is associated with several internal diseases such as ulcerative colitis, Crohn's disease, biliary cirrhosis, SLE, RA, CML.